Which of the following cytokines is associated with the development of cell-mediated immunity?
1. IL-3
2. IL-4
3. IL-5
4. IL-I2

Correct answer: 4. IL-I2

Explanation: Gamma interferon from T helper 1 CD4 + lymphocytes and IL-12 from macrophages are major stimulators of the development of a cell-mediated immune response to intracellular organisms such as tuberculosis, leishmaniasis, histoplasmosis, and many other organisms. IL-3 is a cell growth factor produced by thymic epithelial cells and T cells to regulate different T cell differentiation processes. IL-4 is produced by T helper 2 CD4 + lymphocytes and is involved in class switching to IgE. It also downregulates T helper 1 CD4 + lymphocytes. IL-5 is produced by T helper 2 CD4 + lymphocytes and is involved in IgA production, eosinophil differentiation, and B cell differentiation. Ref: Brooks G.F., Carroll K.C., Butel J.S., Morse S.A., Mietzner T.A. (2013). Chapter 8. Immunology. In G.F. Brooks, K.C. Carroll, J.S. Butel, S.A. Morse, T.A. Mietzner (Eds), Jawetz, Melnick, & Adelberg's Medical Microbiology, 26e.